Least common association with Morbid Obesity is?
1. Rheumatoid Arthritis
2. Diabetes Mellitius type II
3. Essential Hypertension
4. Large bowel cancers

Correct answer: 1. Rheumatoid Arthritis

Explanation: Morbidities associated with OBESITY Diabetes mellitus (Highest relative risk) Hypertension Dyslipidemia Other conditions : Heart diseases, Cerebrovascular disease, obstructive sleep apnoea, GE reflux, Osteoarthritis, cancer Ref: The medical complications of Obesity by Malnicj, QH Med 2006 Pgno : 565-579